A neonate developed yellow discoloration of the skin, sclera, and mucous membranes. Physiological icterus usually appears and regress by:
1. First day and third day
2. Third day and seventh day
3. Third day and ninth day
4. Ninth day and eleventh day

Correct answer: 2. Third day and seventh day

Explanation: Most cases of physiologic (total bilirubin jaundice are self-limited, without sequelae, appear on the second or third day of life, and peak between the third and fifth day (preterm infants peak later) and regress by seventh day. Causal factors include an increase of bilirubin production following breakdown of fetal red blood cells, a temporary decrease in conjugation of these by-products by the immature newborn liver, and increased enterohepatic circulation. Ref: Mittiga M.R., Gonzalez del Rey J.A., Ruddy R.M. (2010). Chapter 14. Pediatric Conditions. In K.J. Knoop, L.B. Stack, A.B. Storrow, R.J. Thurman (Eds), The Atlas of Emergency Medicine, 3e.